Which of the following drugs is not used for anxiety?
1. Propranolol
2. Alprazolam
3. Buspirone
4. Haloperidol

Correct answer: 4. Haloperidol